All of the following statements about serotonin syndrome are true, except -
1. It is not an idiosyncratic reaction
2. Can be caused by SSRI
3. Dantrone is the drug of choice
4. Associated with hyperthermia and hypertension

Correct answer: 3. Dantrone is the drug of choice

Explanation: Ans. is 'c' i.e., Dantrone is the drug of choice Serotonin syndrome closely resembles neuroleptic malignant syndrome. However, in contrast to neuroleptic malignant syndrome it is not an idiosyncratic drug reaction and is generally dose related. Serotonin syndrome is due to acute overstimulation of 5-HT2A receptors caused by serotonergic drugs like SSRI (Drugs causing serotonin syndrome have been explained) Treatment of Serotonin Syndrome o Treatment of patients with serotonin syndrome begins with supportive care and decreasing muscle rigidity. o Because muscle rigidity is thought to be partly responsible for hyperthermia and death, external cooling in conjunc? tion with aggressive use of benzodiazepines should limit complication and mortality. In severe cases, neuromuscular Mocker should be considered to achieve rapid muscle relaxation. Use of Cyproheptadine in patients with mild/moderate serotonin syndrome has shown effective serotonin blockage and control of symptoms. Other drugs that are antedotally reported to be successful for the treatement of symptoms of serotonin syndrome include methysergide, chlorpromazine, atypical antipsychotics and propranolol. In most patients, the serotonin syndrome resolves within 24 hours after the offending drug is removed. o Aggressive cooling and sedation with a benzodiazepine remain the basis of therapy.